23 yrd old male with abdominal surgery, develops intestinal obstruction 2 yrs later, what is the likely cause -
1. Adhesions
2. Hernia
3. Intussecption
4. Volvulus

Correct answer: 1. Adhesions

Explanation: Ans. is 'a' i.e., Adhesions * In Western countries where abdominal operations are common, adhesions and bands are the most common cause of intestinal obstruction in such post abdominal surgery cases.